Double stranded RNA is seen in:
1. Reovirus
2. Rhabdovirus
3. Parvovirus
4. Retrovirus.

Correct answer: 1. Reovirus

Explanation: Option 1 1. The family Reoviridae is divided into nine genera, These genera are Orbivirus, Ohoreovirus, Rotavirus, and Coltivirus. Note: - All RNA viruses are single stranded except Reoviridae viruses (Rotavirus, Reovirus & Colorado tick fever virus). 2. The Reoviridae viruses are nonenveloped viruses with double-layered protein capsids. The genome consists of a 10-12- segmented double-stranded RNA. Option 2, 3, 4 Rhabdovirus-is a single stranded RNA virus. Parvovirus B virus- is a DNA virus. Retrovirus.-is a single stranded RNA virus.